For myringoplasty, Graft material of choice is
1. Peritoneum
2. Palmar fascia
3. Temporalis fascia
4. Fascia lata

Correct answer: 3. Temporalis fascia

Explanation: Low metabolic rate, no need for a separate incision, same thickness as that of tympanic membrane favours the use of temporalis fascia. Other graft materials also include perichondrium, dura and cadaveric tympanic membrane. Re: Textbook of Ear, Nose and Throat, Dhingra, 6th Edition